Indications for artificial insemination with husband's semen are all except
1. Impotence
2. Unexplained infertility
3. Azoospermia
4. Blockage of ejaculatory duct

Correct answer: 3. Azoospermia

Explanation: Ans-C (Azoospermia)INDICATIONS FOR ARTIFICIAL INSEMINATION WITH HUSBAND'S SEMEN# Oligospermia after sperm washout# Impotency# Premature/retrograde ejaculation# Unexplained infertility# Hypospadias# Donor semen# Antispiral abs in cervical mucus# X-Y fractionation of sperm for sex selection, in genetic and chromosomal abnormalitiesIndications for artificial insemination with donor's semen# Azoospermia# Genetic disease in a husband# Immunological factors not correctable